HC1 secretion in gastric phase is increase by
1. Pepsinogen
2. CCK
3. Gastrin
4. Secretin

Correct answer: 3. Gastrin

Explanation: Acid in the antrum inhibits gastrin secretion, partly by a direct action on G cells and partly by release of somatostatin, a relatively potent inhibitor of gastrin secretion. Th effect of acid is the basis of a negative feedback loop regulating gastrin secretion. Increased secretion of the hormone increases acid secretion, but the acid then feeds back to inhibit further gastrin secretion. REFERENNCE ; GANONGS REVIEW OF MEDICAL PHYSIOLOGY 24TH EDITION